Beta 1 antagoinst used in congestive cardiac failure?
1. Atenolol
2. Metoprolol
3. Salbutamol
4. Terbutaline

Correct answer: 2. Metoprolol

Explanation: Ans. is 'b' i.e., Metoprolol o Beta blockers approved for use in CHF are Carvedilol (most commonly used), metoprolol and bisoprolol. o Other agents can also be used (see above explanation).